Postganglionic sympathetic fibres are
1. A alpha
2. C
3. B fibres
4. A gamma

Correct answer: 2. C

Explanation: The axons of postganglionic neurons are mostly unmyelinated C fibres and terminate on visceral effectors. Ref: Ganong's review of medical physiology; 23rd edition; pg:263.